Most common cause of Puberty Menorrhagic :
1. Anovulation
2. Malignancy
3. Endometriosis
4. Bleeding disorder

Correct answer: 1. Anovulation

Explanation: Ans. is a i.e. Anovulation Puberty menorrhagia is excessive cyclical regular bleeding occuring in adolescents. Most common cause of puberty menorrhagia is anovulation which results in excess of estrogen or unopposed estrogen in absence of progesterone. Ilnd most common cause is - Bleeding disorders - blood dyscrasias and coagulation disorders. Other causes of Abnormal bleeding in Adolescents. Pregnancy related bleeding Sexually transmitted-Infections - particularly chlamydia Sexual abuse Exogenous hormones Other endocrine or systemic problems eg. ?Hepatic dysfunction Hyperprolactinemia ( it can cause either amenorrhea or irregular bleeding) PCOS - It can occur during adolescence also Hypothyroidism Anatomical causes - Partially obstructive genetic anomalies.